Which muscle receives its nerve supply from a direct branch of the ansa cervicalis ?
1. Mylohyoid
2. Geniohyoid
3. C Sternohyoid
4. Cricothyroid

Correct answer: 3. C Sternohyoid

Explanation: The ansa cervicalis is formed by nerve fibers from the anterior rami C It gives rise to nerves that nnervate the infrahyoid strap muscles: sternohyoid, sternothyroid, and omohyoid. The geniohyoid muscle is innervated by cervical nerve fibers that are carried with the hypoglossal nerve. The mylohyoid is innervated by a branch of the mandibular division of the trigeminal nerve. The cricothyroid and cricoarytenoid muscles are intrinsic muscles of the larynx and are innervated by branches of the vagus nerve.